Weight gain caused by antipsychotics is due to antagonism of :
1. 5 HT3
2. 5 HT2A
3. 5 HT2B
4. 5 HT2C

Correct answer: 4. 5 HT2C